Sentinel lymphnode is:
1. Group of lymphnodes
2. First stop along the route of lymphatics
3. A node that is skipped during distant metastasis
4. Distant metastatic node

Correct answer: 2. First stop along the route of lymphatics